Absent swallow tail sign is seen in
1. Huntington's chorea
2. Alzheimer's disease
3. Parkinsonism
4. Progressive supranuclear palsy

Correct answer: 3. Parkinsonism

Explanation: SWALLOW TAIL SIGN: The Swallow tail sign describes the normal axial imaging appearance of nigrosome-1 within the substantia nigra on high resolution T2*/SWI weighted MRI. Absence of the sign (absent swallow tail sign) is reported to have a diagnostic accuracy of greater than 90% for Parkinson disease. Figure showing normal swallow tail. Figure showing absent swallow tail Figure showing absent swallow tail sign in Parkinsonism.